FTU is a measure of:
1. Area involved in severe drug reactions
2. Amount of topical drug to be applied
3. Mucosal involvement in pemphigus
4. Concentration of drug in topical preparations

Correct answer: 2. Amount of topical drug to be applied

Explanation: An approximate practical measure of topical medication is the fingertip unit, the quantity of ointment, extruded from a tube with a nozzle of 5 mm diameter extending from the distal crease of the forefinger to ventral aspect of the fingertip. This unit weighs approximately 0.49 g in males and 0.43 g in females and covers, on average, an area of approx 300 cm2.